Sublabial Approach to the maxillary sinus is made through?
1. Superior meatus of nose
2. Middle meatus of nose
3. Inferior meatus of nose
4. Canine Fossa

Correct answer: 4. Canine Fossa